Triad of congenital toxoplasmosis is all except
1. Intracranial calcification
2. Chorioretinitis
3. Coagulation
4. Hydrocephalus

Correct answer: 3. Coagulation

Explanation: The classical triad of Congenital Toxoplasmosis is. Chorioretinitis; Intracranial calcification; Hydrocephalus(Ref: K.D Chatterjee 13th edition, p130-135)